Metablic changes associated with excessive vomitting includes the following -
1. Metabolic acidosis
2. Hyperchloremia
3. Hypokalemia
4. Decreases bicarbonates

Correct answer: 3. Hypokalemia

Explanation: Ans. is 'c' i.e., Hypokalemia Vomiting causes loss of gastric secretions which include HCI & K+ ions, resulting in metabolic alkalosis, hypokalemia and hypochloremia. However note that the moderate to severe hypokalemia seen with excessive vomiting is not merely explained by loss of K+ ions in vomiting. "In fact the hypokalemia is primarily due to increased renal IC- excretion. Loss of gastric contents results in volume depletion and metabolic alkalosis, both of which promote Kaliuresis."